Placenta praevia is seen in all the following except
1. Large placenta
2. Previous CS scar
3. Primigravida
4. Previous placenta praevia

Correct answer: 3. Primigravida

Explanation: Multiparity